Sudden cardiac death may occur in all of the following except -
1. Dilated cardiomyopathy
2. Hypertrophic cardiomyopathy
3. Eisenmenger's syndrome
4. Ventricular septal defect

Correct answer: 4. Ventricular septal defect